Patient came with H/O prolonged labour (15 hrs) in emergency. On examination there were signs of obstructed labour. Ideal position for the patient to undergo the cesarean section?
1. Prone position with legs in stirrup
2. Trendelenberg with legs in stirrup
3. Supine with wedge under right hip.
4. Semi fowler position

Correct answer: 3. Supine with wedge under right hip.

Explanation: In this condition, position should be supine with wedge under right hip so the position will be a bit tilted towards the left to prevent compression of vena cava and the heart will get sufficient various return, giving good output to fetus.